From which of the following routes, absorption of local anaesthetic is maximum?
1. Intercostal
2. Epidural
3. Brachial
4. Caudal

Correct answer: 1. Intercostal

Explanation: Intercostal nerve block (abbreviated ICNB) is a nerve block which temporarily or permanently interrupts the flow of signals along an intercostal nerve, usually performed to relieve pain.